Orchiectomy is not indicated in -
1. Seminoma testis
2. Prostatic carcinoma
3. Tubercular epididymitis
4. Male breast cancer

Correct answer: 3. Tubercular epididymitis

Explanation: For tubercular epididymitis, usually ATT is sufficient, if resolution does not occur, then epididymectomy can be done. (Orchiectomy is done if pt. has orchitis, non-responsive to ATT).